All are true about achalasia except:
1. It predisposes to malignancy
2. Body peristalsis is normal
3. LES pressure is increased
4. Dilatation of proximal segment

Correct answer: 2. Body peristalsis is normal

Explanation: Ans. (b) Body peristalsis is normalRef: Sabiston 20th Edition, Pages 1015-1018Salient Points in Achalasia:* Achalasia - Meaning failure to relax* Men = women affected equally* Dysphagia, regurgitation and weight loss are the triad of symptomsPathogenesis:* Progressive inflammation and selective loss of Inhibitory myenteric neurons in Auerbach's Plexus of the esophagus that normally secretes VIP and Nitric oxide and relaxes the LES. Because of this the excitatory neurons acts and contracts the LES by Ach.* Aperistalsis in Esophagus, dilated esophagus and obstructed LES happens.